Transection at mid pons level results in?
1. Hyperventlation
2. Apneusis
3. Rapid and shallow breathing
4. Hypoxia

Correct answer: 2. Apneusis

Explanation: B i.e. Apneusis